Cholinesterase activators are useful for the treatment of which poisoning?
1. Paraquat
2. Parathion
3. Carbamates
4. Organochlorocompounds

Correct answer: 2. Parathion